Feature(s) of slow twitching muscle is/area) Contain large amounts of myoglobinb) Composed of smaller fibersc) Contain larger amount of glycolytic enzymed) White in coloure) It has high ATPase activity
1. ac
2. ab
3. ad
4. bc

Correct answer: 2. ab

Explanation: Characters of slow twitching muscles.
-        Myoglobin- High amount
-        Colour- Red
-        Fibres- Small
-        ATPase activity- Low
Glycolytic activity- Low